A 74-year-old male complains of bad breath, regurgitation of food during his sleep, and weight loss. For several months he has also had trouble swallowing solids. He denies fever, chills, and nausea. The patient does not smoke cigarettes and does not drink alcohol. Barium swallow study with fluoroscopy is obtained, one radiograph among the series is shown below. Which of the following is the most likely underlying cause of the patient's condition
1. Achalasia
2. Gastro-esophageal reflux disease
3. Diffuse esophageal spasm
4. Defect in the muscular wall of laryngopharynx

Correct answer: 4. Defect in the muscular wall of laryngopharynx

Explanation: The radiograph shows a pulsion-pseudo-diverticulum Zenker's diverticulum Results from herniation of mucosa and submucosa through the Killian triangle(dehiscence), Focal weakness in the laryngopharynx(hypopharynx) at the normal cleavage plane between the fibers of the two parts of the inferior pharyngeal constrictor muscle (superior to the cricopharyngeus muscle and inferior to the thyropharyngeus muscle). Option 1:Achalasia- Absence of esophageal peristalsis and impaired relaxation of the lower esophageal sphincter (LES). Barium swallow shows a bird's beak appearance. Esophageal manometry is used to diagnose achalasia and shows incomplete LES relaxation, high resting LES pressure, and absent esophageal peristalsis. Option 2: Gastro-esophageal reflux disease (GERD) Characterized by heartburn, regurgitation, and dysphagia caused by excessive retrograde movement of acid-containing gastric secretions. An upper gastrointestinal endoscopy is used to diagnose GERD. Option 3: Diffuse esophageal spasm Characterized by contractions of normal amplitude that are uncoordinated, simultaneous, or rapidly propagated. Barium swallow shows diffuse uncoordinated contractions of the esophagus.